Tocilizumab is antibody against ?
1. IL 2
2. IL 4
3. IL 6
4. IL 8

Correct answer: 3. IL 6

Explanation: Ans. is 'c' i.e., IL 6 Tocilizumab It is the antibody directed against IL 6 receptor It is approved for use in : Rheumatoid arthritis Neuromyelitisoptica Castleman's disease Systemic juvenile idiopathic arthritis